Which of the following is most common fingerprint pattern
1. Loops
2. Whorl
3. Composite
4. Arches

Correct answer: 1. Loops

Explanation: The patterns of fingerprints : Loops-these reconstitute 60-70 percent patients encountered Whorl-represent 25-30 percent patients encountered Arch -represent about 5 percent of patients encountered Least commonly encountered is composite Refernce:Essentials of Forensic Medicine and toxicology PG no 2,vol 3